All are the advantages of leaving the capsule behind in cataract surgery except:
1. Prevents cystoid macular edema
2. Decreases endothelial damage
3. Progressively improves vision
4. Decreases chance of retinal detachment

Correct answer: 3. Progressively improves vision

Explanation: Ans. Progressively improves vision